Which is true abt primary sclerosing cholangitis-
1. Alkaline phosphatase levels are normal
2. Bilirubinm levels are increased
3. Liver enzymes are not increased
4. No risk of malignancy

Correct answer: 2. Bilirubinm levels are increased

Explanation: In primary sclerosing cholangitis, Liver enzymes are elevated, Bilirubin levels increase during acute cholangitis. Reference: Davidson, 23rd edition, page 889